Production of X-ray is mainly contributed by:
1. Brehmstalung radiation.
2. Characteristic radiation.
3. Both.
4. None.

Correct answer: 1. Brehmstalung radiation.

Explanation: Production of X-Ray